All of the following can cause Optic Neuritis,except -
1. Rifampicin
2. Digoxin
3. Chloroquine
4. Ethambutol

Correct answer: 1. Rifampicin

Explanation: Important drugs causing optic neuritis are quinine, chloroquine, ethambutal, isoniazid(INH), Streptomycin, Digoxin, Amiodarone, NSAIDs (aspirin, indomethacin, phenylbutazone, ibuprofen), vigabatrine, disulfiram.